Intravenous anaesthetic metabolized by pseudo cholinesterase
1. Propanidid
2. Althesin
3. Eltanolone
4. Clonidine

Correct answer: 1. Propanidid

Explanation: Propanidid is no more used in anaesthesia due to severe allergic reactions. It is metabolized by pseudocholinesterase.